Complimentary operation done at the time of prostatectomey is -
1. Vasectomy
2. Circumcission
3. Hernia repair
4. None

Correct answer: 4. None

Explanation: Ans. is 'None' Preliminary vasectomy is now no longer performed